Mesothelioma is caused by -
1. Asbestosis
2. Silicosis
3. Baggasosis
4. Anthracosis

Correct answer: 1. Asbestosis

Explanation: - asbestos enters the body by inhalation and fine dust may be deposited in the alveoli. - the dust deposited in the lungs causes pulmonary fibrosis leading to respiratory insufficiency and death. - also causes mesothelioma of the pleura or peritoneum. Reference: Park's textbook of preventive and social medicine, 23rd edition, pg no:807